The elimination of alcohol follows-
1. Zero order kinetics
2. 1st order kinetics
3. 2nd order kinetics
4. 3rd order kinetics

Correct answer: 1. Zero order kinetics

Explanation: Ans. is 'a' i.e., Zero order kinetics